According to WHO latest treatment of leprosy is -
1. 2 yrs. Or negative slit smear negative which ever is longer for multibacillary
2. Life long treatment
3. Six months treatment for paucibacillary
4. Not specified

Correct answer: 3. Six months treatment for paucibacillary

Explanation: According to WHO, Multibacillary :- MB blisterpacks for 12 months , within 18 months Paucibacillary :-PB Blisterpacks for 6 months ,within 9 months. Reference : Park's Textbook of preventive and social medicine, 24th edition.Pg no. 341